Which of the following veins is found in relation to the paraduodenal fossa ?
1. Inferior mesentric vein
2. Middle colic vein
3. Left colic vein
4. Splenic vein

Correct answer: 1. Inferior mesentric vein

Explanation: It is an occasional recess in the peritoneum to the left of the terminal portion of the duodenum located posterior to a fold containing the inferior mesenteric vein. ref - BDC 6e vol2 pg229 , researchgate.net